Anterior part of interventricular septum is supplied by -
1. Right coronary artery
2. Left coronary artery
3. Posterior descending coronary artery
4. None

Correct answer: 2. Left coronary artery

Explanation: Anterior 2/3rd of septum is supplied by LCA and posterior 1/3rd is by RCA